Weakness of both abduction & adduction occurs in
1. Duane retraction syndrome type 1
2. Duane retraction syndrome type 2
3. Duane retraction syndrome type 3
4. Double elevator palsy

Correct answer: 3. Duane retraction syndrome type 3

Explanation: C i.e. Duane retraction syndrome type 3 Duane retraction syndrome is characterized by limited/restricted/weakened/absent abduction (type 1) or adduction (type 2) or both (type 3) "BDB = aBduction, aDDuction, Both". Congental Cranial Dysinnervation Disorders (CCDD) Strabismus Fixus Neuromuscular disorders d/ t developmental errors in innervations of ocular & Both eyes are fixed by fibrous tightening facial muscles. It includes Duane syndrome, Mobius syndrome, congenital fibrosis of MR (convergent SF) or LR (divergent of extraocular muscles, Marcus Gunn jaw winking syndrome, congenital ptosis / SF) facial palsy.